Stunning of myocardium without any acute coronary syndrome is:-
1. Subendocardial infarction
2. Restrictive cardiomyopathy
3. Takotsubo cardiomyopathy
4. Transmural infarction

Correct answer: 3. Takotsubo cardiomyopathy

Explanation: A/k as broken heart syndrome High degree of emotional stress Increase catecholamines Coronary artery vasospasm | Ischemic dilatedcardiomyopathy M/E: Acute stage a necrosis + contraction band necrosis - Histologically, acute cases may show microscopic areas of necrosis characterized by myocyte hypercontraction (contraction band necrosis); subacute and chronic cases may exhibit microscopic foci of granulation tissue and/or scar. - Elevated levels of catechols also increase heart rate and myocardial contractility, exacerbating ischemia caused by the vasospasm. The outcome of such vasospasm can be sudden cardiac death (usually caused by a fatal arrhythmia) or an ischemic dilated cardiomyopathy, so-called takotsubo